Glucose symport occurs with:
1. Na+
2. Ca++
3. K+
4. Cl-

Correct answer: 1. Na+

Explanation: A i.e. Na+